Not included in human development index-
1. Life expectancy at 1 year
2. GNI per capita
3. Years of schooling
4. Knowledge

Correct answer: 1. Life expectancy at 1 year

Explanation: Human development index is defined as a composite index focusing on three basic dimensions of human development: life expectancy at birth, knowledge(years of schooling), GNI per capita. Ref: Park's Textbook of Preventive and Social Medicine, 25th edition, Page no. 17